All are clinical features of pheochromocytoma, except :
1. Increased hematocrit
2. Orthostatic hypotension
3. Low cortisol level
4. Impaired glucose tolerance

Correct answer: 3. Low cortisol level

Explanation: Answer is C (Low cortisol level) Pheochromocytoma is not associated with low cortisol levels. Pheochromocytoma is unique in presentation as it may present both with, Hypertension and hypotension. Hypertension occurs in paroxysms and is the most common manifestation - Hypotension occurs as `orthostatic hypotension' and it occurs as a consequence of diminished plasma volume and blunted sympathetic reflexes. Carbohydrate intolerance: Over half of patients have impaired carbohydrate tolerance due to suppression of insulin and stimulation of hepatic glucose output. Hematocrit: An elevated hematocrit may be secondary to diminished plasma volume.